In congenital adrenal hyperplasia most common deficiency
1. 21- alpha hydroxylase deficiency
2. 11- beta hydroxylase deficiency
3. 17 - hydroxylase deficiency
4. 3 beta hydroxylase deficiency

Correct answer: 1. 21- alpha hydroxylase deficiency

Explanation: Ans) a (21- alpha ) Ref Nelson 18'h ed p 2360More than 90% of CAH cases are caused by 21 -hydroxylase deficiency.